Rape, even after consent is considered when age of woman is -
1. <18 yr
2. <20yr
3. <21 yr
4. 25 yr and in police custody

Correct answer: 1. <18 yr

Explanation: Ref:Textbook of Forensic medicine and toxicology (V.V.Pillay) 17th edition page no.388 As per sec.375IPC unlawful sexual intercourse with a woman with or without her consent when she is under 18 years ofage. The Criminal Law(Amendment)Act,2013 has increased the previous recommend age of consent from 16 to 18 years.